Which of the following artery is affected in anterior shoulder dislocation:
1. Radial
2. Axillary
3. Median
4. Ulnar

Correct answer: 2. Axillary

Explanation: Ans. (b) AxillaryRef. Gray's 41st ed. f831e-2; Keith L. Moore 5th ed. P/760* Anterior shoulder dislocation can cause injury to axillary nerve* The axillary nerve passes inferior to the humeral head and winds around the surgical neck of the humerus, the axillary nerve is usually injured during fracture of this part of the humerus.* It may also be damaged during dislocation of the glenohumeral joint and by compression from the incorrect use of crutches.